Type of collagen found in basement membrane is
1. Type I
2. Type II
3. Type III
4. Type IV

Correct answer: 4. Type IV

Explanation: Type I is the most abundant form,seen in connective tissues in almost all regions of the body. Type II is mainly seen in cartilage and vitreous humor. Type III is seen in skin, lung and vascular tissues and Type IV is seen in basement membranes.others are seen in minor quantities. About 30 genes are resposible for collagen synthesis ,and the enzymes necessary for collagen synthesis. REFERENCE : DM VASUDEVAN TEXTBOOK SEVENTH EDITION ; PAGE NO ;720